Which of the following is true about action of LCAT?
1. Formation of fatty acids
2. Esterification of cholesterol
3. Hydrolysis of fatty acids
4. Adds ester group to fatty acids

Correct answer: 2. Esterification of cholesterol

Explanation: Cholesterol Pool and Cholesterol MetabolismThe total body cholesterol content varies from 130-150 grams. LDL (low-density lipoprotein) transports cholesterol from the liver to the peripheral tissues and HDL (high-density lipoprotein) transports cholesterol from tissues to liver. Cells of extrahepatic tissues take up cholesterol from LDL. The free cholesterol released within the cell has the followingfates:Incorporated into cell membranes.Metabolised to steroid hormones, especially in adrenal cortex and gonads.Esterified with saturated fatty acids and stored in the cell. The enzyme ACAT (acyl cholesterol acyltransferase) helps in this reaction.Esterified with poly-unsaturated fatty acids (PUFA) by the action of LCAT (lecithin-cholesterol acyltransferase) and incorporated intoRef: DM Vasudevan - Textbook of Biochemistry, 6th edition, page no: 150